Fetal heart tracing findings in case of maternal carbon monoxide poisoning includes all except
1. Elevated baseline
2. Absence of accelerations
3. Marked beat-to-beat variability
4. Decreased beat-to-beat variability

Correct answer: 3. Marked beat-to-beat variability

Explanation: Fetal heart rate pattern in maternal carbon monoxide poisoning shows:
→ Elevated baseline
→ Diminished variability
→ Absent accelerations and decelerations.